Rx of choice in chronic alcoholic with normal RES, normal BUN, but altered sensorium -
1. Vit. B, injection IM
2. Dextrose 50%
3. Dextrose 10%
4. Normal saline

Correct answer: 1. Vit. B, injection IM

Explanation: chronic alcoholism causes deficiency of vitamin b which causes altered sensorium Alcoholic patients with chronic thiamine deficiency also may have central nervous system (CNS) manifestations known as Wernicke's encephalopathy, which consists of horizontal nystagmus, ophthalmoplegia (due to weakness of one or more extraocular muscles), cerebellar ataxia, and mental impairment . When there is an additional loss of memory and a confabulatory psychosis, the syndrome is known as Wernicke-Korsakoff syndrome. Ref Harrisons internal medicine 20e p2310